Drug of choice for pregnant female suspected of having a baby with congenital adrenal hyperplasia is:
1. Dexamethasone
2. Aldosterone
3. Hydrocortisone
4. Predinsolone

Correct answer: 1. Dexamethasone

Explanation: To suppress fetal androgen production effectively and consequent virilization, Dexamethasone must be initiated before 10 weeks of gestation. Note: To treat congenital adrenal hyperplasia in baby--> Hydrocortisone is used.